Most common site for extra mammary Paget's disease is
1. Vulva
2. Vagina
3. Penis
4. Anus

Correct answer: 1. Vulva

Explanation: .It is superficial manifestation of an intraductal carcinoma. The malignancy spreads within the duct up to the skin of the nipple and down into the substance of the breast. It mimics eczema of nipple and areola.most commonly extra mammary manifestations of paget's disease is seen in the vulva. * Paget's disease of penis (Erythroplasia of Querat is persistent rawness of glans penis). ref:SRB's manual of surgery,ed 3,pg no 1009,473